All the following are true about Laryngeal carcinoma except-a) More common in femalesb) Common in patients over 40 years of agec) After laryngectomy, esophageal voice can be usedd) Poor prognosis
1. b
2. c
3. ad
4. ab

Correct answer: 3. ad

Explanation: Cancer Larynx

Most common histological type of laryngeal Ca - Squamous cell carcinoma (seen in 90% cases)
It is more common in males
Male: Female ratio is 4: 1) (option a is incorrect)
Most common age = 60-70 years.

Mnemonic
Aetiology: Risk factors:- Mnemonic “CA LARGES”
C – Chronic laryngitis
A – Alcohol
L – Leukoplakia
A – Asbestosis
R – Radiation
G – Mustard Gas
E – Exposure to petroleum products
S – Smoking
Prognosis of Laryngeal Cancer

Cure for larynx cancer, defined as 5 year disease free survival is generally better than for other primary site tumors of the aerodigestive tract. This reflects the prevalence of primary glottic tumors over supraglottic tumors and the early age at which glottic tumours are diagnosed (Hence option d is incorrect)
So option a and d are both incorrect but if one option is to be chosen, go for option ‘a’.